Which of the following is not a side effect of lithium?
1. Blood dyscrasias
2. Polyuria
3. Hypothyroidism
4. Weight gain

Correct answer: 1. Blood dyscrasias

Explanation: Ans: a (Blood dyscrasias)Ref: Kaplan & Sadock's Synopsis of Psychiatry: Behavioral Sciences/Clinical Psychiatry, 10th ed, Pg. 1058Lithium dose and its toxicity are very favourite topics for Kerala PG Entrance Examination.Blood dyscrasias are not seen as a side effect of lithium therapy.Side effects of lithium therapy NeurologicBenign, nontoxic: Dysphoria, lack of spontaneity, slowed reaction time, memory difficulties Tremor - Postural, occasional extrapyramidal Toxic - Coarse tremor, dysarthria, ataxia, neuromuscular irritability, seizures, coma, death Miscellaneous - Peripheral neuropathy, benign intracranial hypertension, myasthenia gravis-like syndrome, altered creativity, lowered seizure thresholdEndocrineThyroid - goiter, hypothyroidism, exophthalmos, hyperthyroidism (rare)Parathyroid - hyperparathyroidism, adenomaCardiovascularBenign T-wave changes, sinus node dysfunctionRenalConcentrating defect, morphologic changes, polyuria (nephrogenic diabetes insipidus), reduced GFR, nephrotic syndrome, renal tubular acidosisDermatologicAcne, hair loss, psoriasis, rashGastrointestinalAppetite loss, nausea, vomiting, diarrhoea Miscellaneous - Altered carbohydrate metabolism, weight gain, fluid retention